All are true about bacterial killing except -
1. MPO helps in formation of OCI
2. Chediak-Higashi syndrome is due to failure of phagolysosome formation
3. NADPH oxidase helps in formation of superoxide anion
4. Immune deficiency in Bruton's agammaglobulinemia  is not related to opsonization

Correct answer: 4. Immune deficiency in Bruton's agammaglobulinemia  is not related to opsonization